Duration of second stage of labour in a multipara is
1. 10 minutes
2. 20 minutes
3. 40 minutes
4. l hour

Correct answer: 2. 20 minutes

Explanation: Ans. is 'b' i.e., 20 minutes o Second stage begins with full dilatation of the cervix and ends with expulsion of the fetus.o Mean duration of second stage is 50 minutes for nullipara and 20 minutes in multipara. Prolonged second stage is diagnosed if the duration exceeds 2 hours in nullipara and 1 hour in multipara when no regional anaesthesia is usedo One hour or more is permitted in both the groups when regional anaesthesia is used during labour.